Which of the following aminoglycosides has highest nephrotoxicity?
1. Paramomycin
2. Streptomycin
3. Amikacin
4. Neomycin

Correct answer: 4. Neomycin

Explanation: Small amounts that are absorbed from the gut or topical sites are excreted unchanged by kidney. This may accumulate in patients with renal insufficiency-cause further kidney damage and ototoxicity. Neomycin is contraindicated if renal function is impaired. ESSENTIALS OF MEDICAL PHARMACOLOGY page 750